Action of alpha subunit of G-protein is:
1. Binding of agonist
2. Conversion of GDP to GTP
3. Breakdown of GTP to GDP
4. Internalization of receptors

Correct answer: 3. Breakdown of GTP to GDP

Explanation: Ans. (C) Breakdown of GTP to GDP(Ref: KDT 8th/e p54)Alpha subunit of G protein contains GTPase activity and thus dissociates GTP to form GDP. This result in re-uniting a subunit with b and g subunit